Which of the following is best diagnosis of this neonate who is excessively hungry, warm with flushed skin?
1. Neonatal Thyrotoxicosis
2. Neonatal lupus
3. Cretin
4. Progeria

Correct answer: 1. Neonatal Thyrotoxicosis

Explanation: Ans. (a) Neonatal thyrotoxicosis.Notice the lid retraction and presence of stare sign. This coupled with history proves that the child has increased sympathetic drive and increased BMR. This is caused by transfer of thyroid stimulating immunoglobulin across the placenta. Image source .. style="font-size: 1.04761904761905em; color: rgba(0, 0, 0, 1); font-family: Times New Roman, Times, serif; margin: 0 0 0 8px; text-indent: 0">